Cellular bearings of hereditary disease seen in
1. DNA
2. Ribosome
3. RNA
4. Membrane

Correct answer: 1. DNA

Explanation: Hereditary information is preserved in DNA. Thus all genetic diseases are due to change in DNA.